1. Which does not pass through the aortic opening
1. A) Aorta
2. B) Vagus nerve
3. C) Azygos vein
4. D) Thoracic duct

Correct answer: 2. B) Vagus nerve

Explanation: The aortic hiatus trans- mits the aorta, thoracic duct, lymphatic trunks from the lower posterior thoracic wall and, sometimes, the azygos and hemiazygos veins